Mannitol infusion causes increase in
1. Blood viscosity
2. Osmolarity
3. Intra-ocular tension
4. Intercranial tension

Correct answer: 2. Osmolarity

Explanation: Ans. is 'b' i.e., Omolarity